The term gingival ablation indicates
1. Gingival recession due to faulty tooth brushing
2. Gingival recession accentuated by prominent palatal root
3. Gingival recession due to friction from hard food
4. Gingival recession due to friction from soft tissue

Correct answer: 4. Gingival recession due to friction from soft tissue